In pyelonephritis the diagnostic urinary finidng is -
1. Pus cell cast
2. RBC cast
3. Pus cells
4. RBCs

Correct answer: 1. Pus cell cast